Adenoids are also called?
1. Nasopharyngeal tonsils
2. Palatine tonsils
3. Faucial tonsils
4. Lingual tonsils

Correct answer: 1. Nasopharyngeal tonsils

Explanation: Ans. is 'a' i.e., Nasopharyngeal tonsils o Adenoids, also known as nasopharyngeal tonsils, are subepithelial collection of lymphoid tissue at the junction of roof and posterior wall of nasopharynx,o Adenoids act as a barrier to infection,o Adenoids are subjected to physiological enlargement.o They are present at birth, enlarge upto 6 years of age and then atrophy and completely disappear by 20 years of age.o Upper respiratory' tract infections (Rhinitis, sinusitis, tonsillitis) and allergies can cause adenoid hypertrophy.